Uterine-cervix ratio up to 10 years of age:
1. 3:02
2. 2:01
3. 3:01
4. 1:02

Correct answer: 4. 1:02

Explanation: The relationship of the length of the cervix and that of the body of uterus varies with age.